Optic canal is a part of ?
1. Lesser wing of sphenoid
2. Greater wing of sphenoid
3. Ethmoid
4. Pterygoid

Correct answer: 1. Lesser wing of sphenoid

Explanation: Ans. is 'a' i.e., Lesser wing of sphenoid The optic nerve leaves the orbit is the optic canal to enter the cranial vault. The optic canal is the most posterior landmark of the orbit. It measures 10 mm in length. The thin piece of bone separating the optic canal from the superior orbital fissure is the optic strut. The optic strut and optic canal are a part of the lesser wing of sphenoid bone.